Vitum's sign is seen in
1. AR
2. MS
3. AS
4. TR

Correct answer: 4. TR